The diameter of Tricuspid orifice is
1. 2cm
2. 2.5cm
3. 3cm
4. 4cm

Correct answer: 4. 4cm

Explanation: ValveDiameter of OrificePulmonary2.5cmAortic2.5cmMitral3cmTricuspid4cmRef: BD Chaurasia; Volume 1; 6th edition; Table 18.1